Brown colour of contusion is due to:
1. Biliverdin
2. Reduced hemoglobin
3. Haemosiderin
4. Bilirubin

Correct answer: 3. Haemosiderin

Explanation: Ans. (C). Haemosiderin(Ref: Review of Forensic Medicine & toxicology; Gautum Biswas; 2nd edition; Pg- 193)ColourPigmentTime DurationRedOxy haemoglobinFreshBlueQDeoxyhaemoglobinQFew hours - 3 daysBrownQHemosiderinQ4 -5 daysGreenBiliverdin/ hematoidin6 -7 daysYellowBilirubin7-14 days